Which of the following is not a ototoxic drug ?
1. Paracetamol
2. Cisplatin
3. Quinine
4. Erythromycin

Correct answer: 1. Paracetamol

Explanation: Ans. is 'a' i.e., Paracetamol